Serotonin can be synthesized from
1. Tryptophan
2. Trypsin
3. Dopa
4. Epinephrine

Correct answer: 1. Tryptophan

Explanation: In bacteria that synthesize tryptophan, high cellular levels of this amino acid activate a repressor protein, which binds to the trpoperon. Binding of this repressor to the tryptophan operon prevents transcription of downstream DNA that codes for the enzymes involved in the biosynthesis of tryptophan Refer kDT 7/e p170